Mode of excretion of cyclophosphamide is ?
1. Lung
2. Liver
3. Kidney
4. Skin

Correct answer: 3. Kidney

Explanation: Ans. is 'c' i.e., Kidney Cyclophosphomide is primarily metabolized (80%) and metabolites are exceed in urine. 10 to 20% is excreted unchanged in urine and 4% is excreted in bile.